According to DSM IV, Mania of Bipolar Disorder will fulfil the diagnostic criteria if the symptoms persist for what period of time in a young lady who is not hospitalised?
1. 1 week
2. 2 week
3. 3 week
4. 4 week

Correct answer: 1. 1 week

Explanation: A distinct period of abnormally and persistently elevated, expansive, or irritable mood, lasting at least 1 week (or any duration if hospitalization is necessary) is the minimum time for the diagnosis for manic illness, according to DSM-IV-TR criteria. During the period of mood disturbance, three (or more) of the following symptoms have persisted (four if the mood is only irritable) and have been present to a significant degree: Inflated self-esteem or grandiosity Decreased need for sleep (e.g., feels rested after only 3 hours of sleep) More talkative than usual or pressure to keep talking Flight of ideas or subjective experience that thoughts are racing Distractibility (i.e., attention too easily drawn to unimportant or irrelevant external stimuli) Increase in goal-directed activity (either socially, at work or school, or sexually) or psychomotor agitation Excessive involvement in pleasurable activities that have a high potential for painful consequences (e.g., engaging in unrestrained buying sprees, sexual indiscretions, or foolish business investments)